A female aged 30, presents with an episodic throbbing headache for past 4 yrs. It usually involves one half of the face and is associated with nausea and vomiting. There is no aura. Most likely diagnosis is
1. Migraine
2. Cluster headache
3. Angle closure glaucoma
4. Temporal arteritis

Correct answer: 1. Migraine

Explanation: Migraine 2nd most common cause of a headache.Affects 15% of women and 6% of men over a one year period.Usually an episodic headache and associated with certain features such as sensitivity to light, sound, or movement. Nausea and vomiting often accompany a headache.May be associated with other symptoms of neurologic dysfunction in varying admixtures.Paresthesias are seen in 33% of people affected by a migraine.Ref: Harrison; 19th edition